Parasite causing biliary tract obstruction -
1. Ascaris
2. Trichinella
3. Taenia solium
4. All of the above

Correct answer: 1. Ascaris

Explanation: Ans. is 'a' i.e., Ascaris * Infection of the biliary tract by adult helminths or their ova produces a chronic recurrent pyogenic cholangitis with or without multiple hepatic abscesses, ductal stones or biliary obstruction. The most commonly involved organisms are -# Clonorchis sinensis# lntrabiliary rupture of hydatid cysts of Echinococcus sp.# Intraductal migration of adult Ascaris lumbricoides.# Opisthorchis viverrini or O. felineus# Fasciola hepatica